All of the following are essential amino acids except:
1. Methionine
2. Lysine
3. Alanine
4. Leucine

Correct answer: 3. Alanine

Explanation: C. AlanineEssential (MettVilPhlyRead As Met Will Fly)All the other amino acidNonessentialMethionineArginineAll the other amino acidThreonine Tryptophan Valine Isoleucine Leucine Phenylalanine Lysine